Infection control procedures:
1. That protect against monilial infection should protect against HBV
2. That protect against HBV should protect against HIV
3. That protect against HIV should protect against HBV
4. Are controlled with the use of the rubber dam

Correct answer: 2. That protect against HBV should protect against HIV